SSRIs should be carefully used in the young for the management of depression due to increase in:
1. Nihilism ideation
2. Guilt ideation
3. Suicidal ideation
4. Envious ideation

Correct answer: 3. Suicidal ideation

Explanation: The use of SSRIs can increase suicidal ideations. This side effect is more common in children and adolescents and hence these medications should be used cautiously in that age group.